Treatment of erythematous skin rash with multiple pus lakes in a pregnant woman is:
1. Corticosteroids
2. Retinoids
3. Methotrexate
4. Psoralen with PUVA

Correct answer: 1. Corticosteroids

Explanation: A i.e. Corticosteroids